To which of the following family of chemical mediators of inflammation, the Lipoxins belong:
1. Kinin system
2. Cytokines
3. Chemokines
4. Arachidonic acid metabolites

Correct answer: 4. Arachidonic acid metabolites

Explanation: Arachidonic acid metabolites